Facial colliculus is seen in -
1. Midbrain
2. Pons
3. Medulla
4. Interpeduncular fossa

Correct answer: 2. Pons